Sjogren's syndrome refers to disease of ?
1. Parotid glands
2. Thyroid disease
3. Parathyroid glands
4. Multiple endocrine neoplasia

Correct answer: 1. Parotid glands

Explanation: Ans. is 'a' i.e., Parotid glands